IPC for criminal responsibility of insane is?
1. 84
2. 94
3. 104
4. 174

Correct answer: 1. 84

Explanation: Ans. is 'a' i.e. 84 Criminal responsibility (whether a person is responsible for crime or not)o 82 IPC: A child under the age of seven is incapable of committing an offence.o 83 IPC: A child between 7-12 years of age is presumed to be capable of committing an offence if he has obtained sufficient maturity to understand and judge the nature and consequences of his conduct.o 89 IPC: A child under 12 years of age can not given valid consent to suffer any harm which can occur from an act done in good faith for the benefit of child, e.g., a consent for a surgery. Only guardian can give such consent.o 87 IPC : A person below 18 years of age cannot give valid conset to suffer any harm which can cause death or grievous hurt, e.g., consent for wrestling.o 84 IPC: Act of a person with unsound (insane) mind is not an offence. This act is related to insanity and criminal responsibility. MC Naughten rule (right or wrong test) is a legal test for criminal responsibility of insane and comes under section 84 IPC.o 85 and 86 IPC: According to 85 IPC section, act of an intoxicated (e.g., drunk) person is not an offence if he has been intoxicated against his will. On the other hand, 86 IPC states that the act of an intoxicated (drunk) person is an offence if he had the intention or knowledge of committing a crime, i.e., the person is criminally responsible. 85 and 86 IPCs are related to drunkeness and criminal responsibility.o 88 IPC: Act not intended to cause death, but can cause death or grievous hurt, done by consent in good faith and for the benefit of that person, e.g., death of a patient caused by surgery done by a surgeon.o 94 IPC: Act to which a person is compelled by threat, is not an offence.